A 32-year-old female, asymptomatic, not requiring blood transfusion, presents with Hb 13.0 gm/dl. Her HbF levels levels are 95%, Hb A2 1.5%. Which of the following is the most likely diagnosis?
1. Hereditary persistence of fetal hemoglobin
2. Beta homozygous thalassemia
3. Thalassemia intermedia
4. Beta heterozygous thalassemia

Correct answer: 1. Hereditary persistence of fetal hemoglobin

Explanation: - In given pt, even though HbF levels are elevated, these pts have normal Hb levels & asymptomatic without any requirement of any transfusions. Hence, thalassemia is ruled out - These features points towards the diagnosis of Hereditary persistence of fetal hemoglobin (HPFH) - It is benign condition in which fetal hemoglobin ( HbF) production is increased & continued into adulthood Patient remains asymptomatic even without blood transfusion No anemia; no splenomegaly